Triple deformity of knee includes following except-
1. Flexion of knee
2. External rotation of tibia
3. Posterior subluxation of tibia
4. Extension of knee

Correct answer: 4. Extension of knee

Explanation: Ans. is 'd' i.e., Extension of knee o Triple deformity1 of knee refers to : -Flexion of kneeExternal rotation of tibiaPosterior subluxation of tibiao Triple deformity is seen in RA, TB of knee and Polio.